Sulphur granules in actinomycosis consist of
1. Monophils and neutrophils
2. Monophils and lymphocytes
3. Eosinophils
4. Bacterial particles

Correct answer: 4. Bacterial particles

Explanation: Sulphur granules are examined microscopically. They are crushed between slides and stained by gram stain and examined. The granules are bacterial colonies and will be found to consist of a dense work of thin gram-positive filaments surrounded by a peripheral zone of swollen, radiating club-shaped structures (antigen-antibody complex) presenting a sun-ray appearance. Ref: Textbook of microbiology; Ananthanarayan and paniker's; 10th edition; Pg:398